Fiber optic instruments like endoscopes should be disinfected by
1. Formaldehyde
2. Cetrimide
3. Gamma radiation
4. Glutaraldehyde

Correct answer: 4. Glutaraldehyde

Explanation: 2% Glutaraldehyde for 20 minutes is active against bacteria, viruses and fungi. Latest 0.5% Orthophthaldehyde is used with 5min Contact period. Ref : Ananthanarayana textbook of Microbiology 9th edition Pgno : 33